Parents are carrier of an autosomal recessive disorder. Chances of offspring to get affected?
1. 1:01
2. 1:02
3. 1:03
4. 1:04

Correct answer: 4. 1:04

Explanation: Ans. is 'd' i.e., 1:4 o If both parents are carrier, there are 25% chance (1 in 4) that the child will be affected.